Bonney's test is used to demonstrate :
1. Stress incontinence
2. Urge incontinence
3. Fibroids
4. True incontinence

Correct answer: 1. Stress incontinence

Explanation: Stress incontinence